The effect of progesterone on lipids
1. Lowers LDL, increases HDL
2. Lowers LDL and HDL
3. Lowers HDL and increases LDL
4. Increases LDL and HDL

Correct answer: 3. Lowers HDL and increases LDL

Explanation: While part of the administered progestogen is metabolized to oestrogen, it is also partly metabolized to testosterone. If administered to a patient during pregnancy, some progestogens have virilizing effect upon a female fetus. Lipid metabolism decreases HDL but increases low-density lipoprotein. Thus, it is harmful to the heart.
It improves the immune response